Which of the following is not true about Neisseria gonorrhoea
1. It is an exclusive human pathogen
2. Some strains may cause disseminated disease
3. Acute urethritis is the most common manifestation in males
4. All strains are highly sensitive to penicillin

Correct answer: 4. All strains are highly sensitive to penicillin

Explanation: When Penicillin was introduced, all strains are highly sensitive. But strains with decreased susceptibility became common in 1957. In 1976, gonococci producing beta-lactamase have appeared, rendering Penicillin ineffective. Reference: Textbook of Microbiology; Anathanarayan and panicker's; 10th edition; Page no: 237